Physical examination of a premenopausal woman demonstrates bony swellings in the distal interphalangeal joints; no inflammation is apparent. The proximal interphalangeal joints, hands, and wrists are not involved, and the patient is asymptomatic. Which of the following processes is etiologically related to these findings?
1. Autoantibody formation
2. Bacterial infection
3. Crystal deposition
4. Joint trauma

Correct answer: 4. Joint trauma

Explanation: The disease is osteoarthritis, and the bony swellings are called "Heberden's nodes", which may or may not be symptomatic. Osteoarthritis is thought to be related to repetitive joint trauma.Autoantibodies are important in rheumatoid arthritis. Bacterial infections cause septic arthritis.Crystal deposition is important in gout and pseudogout. Ref: Wyatt C., Butterwoh IV J.F., Moos P.J., Mackey D.C., Brown T.G. (2008). Chapter 19. Pathology of the Bones and Joints. In C. Wyatt, J.F. Butterwoh IV, P.J. Moos, D.C. Mackey, T.G. Brown (Eds), Pathology: The Big Picture.